Inert foreign body in the eye -
1. Nickel
2. Copper
3. Iron
4. Silver

Correct answer: 4. Silver

Explanation: Inert substances- glass, plastic, porcelain and metals like gold, silver, platinum and titanium ( no reaction) Suppurative reaction is excited by pure copper, zinc, nickel and mercury particles. Specific reactions are prodeuced by iron (siderosis bulbi) and copper alloys (chalcosis). Ref : Parsons' 22 nd edition, page no.395